Tubocurarine action is easily reversed by
1. Atropine
2. Neostigmine
3. Edrophonium
4. Galamin

Correct answer: 2. Neostigmine